The following material with a hemostatic effect can be used as a substitute for Formocresol Pulpotomy
1. Gluteraldehyde
2. Ferric sulphate
3. Mineral Trioxide Aggregate (MT)
4. Freeze-dried bone

Correct answer: 2. Ferric sulphate